FALSE about annular pancreas is
1. Prevalent in Down's syndrome
2. Bilious vomiting
3. Double - bubble sign on X-ray
4. Gastrojejunostomy offers best remedy

Correct answer: 4. Gastrojejunostomy offers best remedy

Explanation: Duodenoduodenostomy is the treatment of choice Bailey & Love,26th,1125.